Reticulocytes are stained by
1. Methylviolet
2. Brilliant cresyl blue
3. Sudan black
4. Indigo carmine

Correct answer: 2. Brilliant cresyl blue

Explanation: Ref Robbins 9/e p635 Reticulocytes are stained in living state in-vitro so staining with dyes like brilliant cresyl blue and new methylene blue is preferred road supra vital staining Brilliant cresyl blue is a supravital stain used for counting reticulocytes. It is classified as an oxazine dye